Primary open-angle glaucoma is associated with all of the following except:
1. Diabetes mellitus
2. Myopia
3. Hyperthyroidism
4. Pars planitis

Correct answer: 4. Pars planitis

Explanation: Ans. Pars planitis